Pyriform fossa is situated in ?
1. Oropharynx
2. Hypopharynx
3. Nasopharynx
4. None of the above

Correct answer: 2. Hypopharynx

Explanation: Ans. is 'b' i.e., Hypopharynx Pyriform fossa is a part of laryngopharynx (hypopharynx)